All of the following conditions are associated with coornbs positive hemolytic anemia Except (A/ 2009)
1. Thrombatic Thrombocytopenic purpura (TTP)
2. Scleroderma
3. SLE
4. PAN

Correct answer: 1. Thrombatic Thrombocytopenic purpura (TTP)

Explanation: Answer is A (Thrombotic Thrombocytopenic Purpura) Thrombotic Thrombocytopenic purpura is associated with Coombs negative hemolytic anemia Coomb's positive hemolytic anemia is a feature of Autoimmune Hemolytic anemias, SLE and other collagen vascular diseases including PAN, and scleroderma may be associated with warm antibody autoimmune hemolytic anemias and hence may present with Coomb's positive hemolytic anemia.